In a statistical study for calculating the effect of drug on patient's sugar level the test showed significant difference when in reality there was no difference
1. Alpha error
2. Beta error
3. Gamma error
4. Power of a test

Correct answer: 1. Alpha error

Explanation: Ref:Park's Textbook of Preventive and Social Medicine 25th Ed